16 year old male presents with extensive heterotropic ossification over the neck, back & shoulders and decreased chest movements. He gives history of progressive immobility since the age of 3 years. Which of the following statement about his affecting condition is not true ?
1. They have a near normal life expectancy
2. They are predisposed to Pneumonia
3. They have short hallux
4. Increased expression of BMP4 gene is seen

Correct answer: 1. They have a near normal life expectancy

Explanation: FIBRODYSPLASIA OSSIFICANS PROGRESSIVA : This rare condition, formerly known as myositis ossificans progressiva, is characterized by widespread ossification of the connective tissue of muscle, mainly in the trunk. It starts in early childhood with episodes of fever and soft-tissue inflammation around the shoulders and trunk. As this subsides the tissues harden and plaques of ossification extend throughout the affected areas. In the worst cases movements are restricted and the patient is severely disabled. Associated anomalies are shortening of the big toe and thumb. And the life expectancy of the children will be reduced. REF:Apley's system of orthopaedics- 9th edn - pg no 174.